RBC cast seen in:
1. Minimal change disease
2. Renal vein thrombosis
3. Bladder schistomiasis
4. Rapidly progressive glomerulonephritis

Correct answer: 4. Rapidly progressive glomerulonephritis

Explanation: RBC casts Feature of glomerular damage. Normally < 3 RBC/HPF are going to leak. In glomerular damage the number of RBC in the urine will exceed the limit mentioned above and these RBC get impinged on Tamm Horsfall protein. The resultant RBC casts can be seen under microscopic examination of urine. Dysmorphic RBCs Hyaline casts RBC casts WBC casts Renal tubular cell cast Broad waxy cast